Most common type of retinal detachment seen in proliferative diabetic retinopathy
1. Rhegmatogenous
2. Tractional
3. Exudative
4. Retinoschisis

Correct answer: 2. Tractional

Explanation: Tractional Retinal Detachment Due to tractional forces (due to fibrosis/ contracture) the retina is pulled from its bed resulting in retinal detachment Causes *Proliferative Diabetic Retinopathy *Retinopathy Of prematurity *Vasculitis *Sickle hemoglinopathies Tractional retinal detachment Concept * Rhegmatogenous RD is because of rhegma holes * Fibrous bands cause tractional RD * Serous fluid behind retina cause Exudative RD